Nerve supply of cervical esophagus ?
1. Vagus
2. Left recurrent larynageal nerve
3. Right recurrent larynageal nerve
4. All of the above

Correct answer: 4. All of the above

Explanation: Ans. is d'., All of the above[Ref Clinical anatomy 3'd/e p. 2891Nerve supply of esophagus:Esophagus is supplied by both parasympathetic and sympathetic fibers.A) Parasympathetic supplyIt provides sensory, motor and secretomotor supply to esophagus.Complete parasympathetic innervation is provided by vagus nerve:-Cervical esophagus: Through both (right & left) recurrent laryngeal nerve.Upper thoracic esophagus: Through left recurrent laryngeal nerve and by direct branches from vagus nerve.Lower thoracic esophagus: Through esophageal plexus.B) Sympathetic supplyIt provides sensory and vasomotor supply.It is provided by Ts to Tc spinal segments.